Anti tobacco day is:-
1. 1-Jul
2. 24-Mar
3. 31-May
4. 1-Dec

Correct answer: 3. 31-May

Explanation: 31 may: Anti-tobacco day 1 july: doctor's day 24 march: anti TB day 1 december: World AIDS day